Gingiva is supplied by
1. Supraperiosteal vessels
2. Subperiosteal vessels
3. Apical vessels
4. All of the above

Correct answer: 1. Supraperiosteal vessels